Fetal pulmonary maturity can be evaluated by phospholipids' activity in amniotic fluid. In which of the following pregnancies does the fetus have the least chance of developing respiratory distress syndrome (RDS)?
1. Normal pregnancy: amniotic fluid L/S is 1.8:1, phosphatidyl glycerol (PG) is absent
2. Diabetic pregnancy: amniotic fluid L/S is 2:1, PG is absent
3. Diabetic pregnancy: amniotic fluid L/S is 2:1, PG is present.
4. All of the above

Correct answer: 3. Diabetic pregnancy: amniotic fluid L/S is 2:1, PG is present.